10-15% carbamide peroxide degrades into:
1. 7% hydrogen peroxide+ 3% urea
2. 5% hydrogen peroxide+ 5% urea.
3. 3% hydrogen peroxide+ 7% urea.
4. 4% hydrogen peroxide +6% urea.

Correct answer: 3. 3% hydrogen peroxide+ 7% urea.